Corneal endothelium is derived from:
1. Neuroectoderm
2. Neural crest cells
3. Mesoderm
4. Surface ectoderm

Correct answer: 2. Neural crest cells

Explanation: SURFACE ECTODERM - LENS- Epithelium of the all structures except ciliary body & iris- Glands NEURAL ECTODERM - Epithelium of ciliary body & iris- Retinal pigment epithelium- Optic nerve- Sphincter and dilator pupillae muscles - Smooth muscles of iris MESODERM - EXTRAOCULAR MUSCLES- Endothelium of all the orbit & stroma of iris & ciliary body- Sclera (temporal part) NEURAL CREST - Stroma of cornea & choroid - Corneal endothelium - Sclera (except temporal part) -Melanocytes -Corneal keratocytes -Ciliary muscles -Ciliary ganglion -Stroma of iris -Choroid Trabecular meshwork